Pheochromocytoma produces all except?
1. Nor-epinephrine
2. Secretin
3. Vaso-active intestinal polypeptide
4. Calcitonin

Correct answer: 2. Secretin

Explanation: Pheochromocytoma secrets Norepinephrine VIP- Secretory diarrhea in pheochromocytoma is due to VIP, VIP opens water channels which result in development of secretory Diarrhea Calcitonin- Pheochromocytoma associated with MEN 2a syndrome MEN 2a - Medullary carcinoma of the thyroid(calcitonin), pheochromocytoma, parathyroid hyperplasia